All are used in PPH expert :
1. Mife pristone
2. Carboprost
3. Misoprostol
4. Ergometrine

Correct answer: 1. Mife pristone

Explanation: Mife pristone